Coefficient of thermal expansion of amalgam is:
1. 7.2a(ppm k-1).
2. 10.0(ppm k-1).
3. 25.0(ppm k-1).
4. 48.5(ppm k-1).

Correct answer: 3. 25.0(ppm k-1).